Maize is deficient in which amino acid
1. Leucine
2. Methionine
3. Tryptophan
4. Phenylalanine

Correct answer: 3. Tryptophan

Explanation: The proteins of maize are deficient in tryptophan and lysine; while some strains contain an excess of leucine. Excess of leucine or deficiency of tryptophan causes decreased synthesis of niacin in the body. This explains the pellagragenic action of maize.